A 25 year old male was hospitalized with liver cyst due to Echinococcus granulosus. He refused to undergo surgery for removal of cyst. Therefore, albendazole was used at high dose for 3 months. This patient should be monitored for the toxicity to :
1. Gonads
2. Kidney
3. Liver
4. Peripheral nerves

Correct answer: 3. Liver